Facial recess or the posterior sinus is bounded by -
1. Medially by the vertical part of VII nerve
2. Laterally by the chorda tympani
3. Above by the fossa incudis
4. All of the above

Correct answer: 4. All of the above

Explanation: Facial recess or Posterior sinus – It is a depression in the posterior wall of the middle ear.
It is bounded by:
Medially – Vertical part of VIII nerve
Laterally – Chorda tympani
Above – Fossa incudis
Importance – This recess is important surgically, as direct access can be made through this into the middle ear without disturbing posterior canal wall. (Posterior tympanotomy approach)